The following are the branches of the anterior division of internal iliac artery except
1. Superior rectal artery
2. Middle rectal artery
3. inferior vesical artery
4. Uterine artery

Correct answer: 1. Superior rectal artery

Explanation: It arises at the bifurcation of the common iliac artery, opposite the lumbosacral articulation, and, passing downward to the upper margin of the greater sciatic foramen, divides into two large trunks, an anterior and a posterior.The following are relations of the artery at various points: it is posterior to the ureter, anterior to the internal iliac vein, the lumbosacral trunk, and the piriformis muscle; near its origin, it is medial to the external iliac vein, which lies between it and the psoas major muscle; it is above the obturator nerve. Ref - researchgate.net